Tender Bubos seen are used in the diagnosis of:
1. Gonorrhoea
2. Herpes
3. Chancroid
4. Granuloma venereum

Correct answer: 3. Chancroid

Explanation: Chancroid